Most common type of twin pregnancy is-
1. vertex + transverse
2. Both vertex
3. Vertex + breech
4. Both breech

Correct answer: 2. Both vertex

Explanation: Most common type of presentation in twin pregnancy is both twin vertex(50%) Reference:DC Dutta's textbook of obstetrics,8th edition, page no:243